Colloidal osmotic pressure of plasma is by
1. Albumin
2. Fibrinogen
3. Globulin
4. Prothrombin

Correct answer: 1. Albumin